Macrophages are converted to epitheloid cells by which cytokine -
1. 1L-2
2. IFN-y
3. TNF-a
4. TGF-f3

Correct answer: 2. IFN-y

Explanation: Ans. is 'b' i.e., IFN-y